A 50 years male with fracture neck of femur comes after 3 days, treatment of choice is -
1. Hemiarthroplasty
2. Total hip replacement
3. Hip spika
4. CR & IF

Correct answer: 4. CR & IF